Which of the layers of scalp is called as dangerous area of scalp
1. Superficial fascia
2. Deep fascia
3. Loose areolar tissue
4. Pericranial layer

Correct answer: 3. Loose areolar tissue

Explanation: The layer of loose areolar tissue is known as the dangerous area of the scalp because the emissary veins, which open here may transmit infection from the scalp to the cranial venous sinuses.